What is the color code of a 14 French foley's catheter?
1. Green
2. Red
3. Yellow
4. Orange

Correct answer: 1. Green

Explanation: - 14 French foley's catheter is Green color coded.Uses:- To relieve urinary retention- To measure urine output- For administration of intravesical chemotherapy- 3 ways catheter - for Irrigation after TURP- May be used for supra pubic cystostomy